Organs first to be injured in the blast-
1. Ear, lung
2. Kidney, spleen
3. Pancreas, duodenum
4. Liver, muscle

Correct answer: 1. Ear, lung

Explanation: Tympanic membrane is most sensitive & most commonly injured.
Lung is second most sensitive. The lung is the most common cause of life-threatening injury.